A female has episodic, recurrent headache in left hemicranium with nausea and parasthesia on right upper and lower limbs, is most probably suffering from-
1. Migraine
2. Glossopharyngeal neuralgia
3. Herpes zoster infection of trigeminal Nerve
4. Brain tumour

Correct answer: 1. Migraine